Which of the following intravenous induction agent is the most suitable for day care surgery –
1. Morphine
2. Ketamine
3. Propofol
4. Diazepam

Correct answer: 3. Propofol

Explanation: Induction anaesthetic of choice → Propofol.
Inhalation agent of choice (for maintenance) → Desflurane (1st choice), sevoflurane (2nd choice).